Commonest presentation of neurocysticerocosis is
1. Seizures
2. Focal neurological deficits
3. Dementia
4. Radiculopathy

Correct answer: 1. Seizures

Explanation: Neurocysticercosis typically is first seen with seizures (70% to 90% of acutely symptomatic patients) and headache.Headache usually indicates the presence of hydrocephalus, meningitis, or increased intracranial pressure. Dementia,radiculopathy,focal neurologic defecits are less common presentations Ref Harrison20th edition pg 2445